A person wants to study a disease 'x' and fat consumption. He obtained data for number of people affected with 'x' from the government and the details of fat consumption from food industry. Type of study is
1. Ecological study
2. Cross sectional study
3. Pesiological study
4. Experimental study

Correct answer: 1. Ecological study

Explanation: Ecological (correlations) study. Unit of study is population (results not applicable to individuals). Done in a small time frame. It is inferior to cohort and case control. Reference: Park's textbook of preventive and social medicine,K.Park,21st edition,page no:59 & 22nd edition, pg no.60.